Population covered by a PHC in hilly region is –
1. 20000
2. 30000
3. 40000
4. 25000

Correct answer: 1. 20000

Explanation: One PHC for every 30,000 rural population in the plains.
One PHC for every 20,000 population in hilly, tribal and backward areas.